Myoglobin binds with
1. 1 mol of oxygen per mol
2. 2 mol of oxygen per mol
3. 3 mol of oxygen per mol
4. 4 mol of oxygen per mol

Correct answer: 1. 1 mol of oxygen per mol

Explanation: Myoglobin is specialized for sustained muscular contraction. It has only one heme group and does not show Bohr effect.